All of the following statements are true about Pneumotaxic Centre except
1. Pneumotaxic Centre is located in Upper Pons
2. It decreases expiration and increases inspiration
3. It controls rate of respiration
4. It helps in smooth switch between inspiration and expiration

Correct answer: 2. It decreases expiration and increases inspiration

Explanation: Pneumotaxic centre decreases inspiration and increases expiration.